A viral infection causes damage to both hippocampi in a patient. This damage would cause the patient to exhibit functional deficits in
1. Recalling an old declarative memory
2. Recalling an old procedural memory
3. Forming a new short-term memory
4. Forming a new long-term memory

Correct answer: 4. Forming a new long-term memory

Explanation: The hippocampus is crucial for the formation of long-term (declarative) memory. Without the hippocampus, short-term memory is intact but the conversion to long-term does not take place.The retrieval of stored declarative memory does not require the hippocampus. The hippocampus is not needed for the retrieval of procedural memory.Ref: Guyton; 13th edition